Small cell carcinoma features are
1. Commonest malignancy of lung
2. Associated with paraneoplastic syndrome
3. Don't cause SVC syndrome
4. none

Correct answer: 2. Associated with paraneoplastic syndrome

Explanation: Small cell carcinomas are frequently hilar or central in location,have strong relationship to cigarette smoking and are highly malignant tumours.They are most often associated with ectopic hormone production because of the presence of neurosecretory granules in majority of the tumour cells.Hence they can produce paraneoplastic syndrome.Major hormones produced include ACTH,ADH,Parathormone,Calcitonin,Gonadotropins,Serotonin,etc. Ref Davidson edition23rd pg 614